Endodermal sinus tumor is characterised by
1. Cal Exner body
2. Psammoma bodies
3. Schiller Duval bodies
4. Homer wright body

Correct answer: 3. Schiller Duval bodies

Explanation: Refer Robbins page no 977Also known as endodermal sinus tumor, yolk sac tumor is of interest because it is the most common testicular tumor in infants and children up to 3 years of age. In this age group it has a very good prognosis. In adults the pure form of this tumor is rare; instead, yolk sac elements frequently occur in combination with embryonal carcinoma.